Tiimour arising from totipotent cell is:
1. Teratoma
2. Seminoma
3. Myoma
4. Lipoma

Correct answer: 1. Teratoma

Explanation: Ans: a (Teratoma) Ref: Robbins, 7th ed, p. 271TeratomaFormed of a variety of parenchymal cell types usually of all three germ layers.Arises from totipotent cells, so principally encountered in the gonads.They differentiate along various germ lines producing skin, muscle, fat, gut, epithelium,tooth etc.Other important termsDermoid cysts(Ovarian cystic teratoma)Differentiated along ectodermal lines forming a cystic tumour with hair sebaceous gland, skin, tooth etc.ChoristomaIt is the ectopic rest of normal tissueExample- Adrenal cell under kidney capsuleHamartomaA mass of disorganized but mature specialized tissue or cells indigenous to the organ .EgHamartoma of lung.